HLA associated with rheumatoid arthritis is -
1. HLA B27
2. HLA DR 4
3. HLA B19
4. HLA DR2

Correct answer: 2. HLA DR 4

Explanation: Ans. is 'b' i.e. HLA DR4 HLA's in Rheumatoid arthritisAssociated with the dev elopement of Rheumatoid arthritis# HLA-DR4# HLA-DR 10# HLA-DR9# HLA-DR 3 (Arabs)Protects against the development of Rheumatoid arthritis# HLA-DR5# HLA-DR2# HLA-DR3# HLA-DR7